Schwartz operation is also called as
1. Cortical mastoidectomy
2. Modified radical mastoidectomy
3. Radial mastoidectomy
4. Fenestration operation

Correct answer: 1. Cortical mastoidectomy

Explanation: Schwartz operation is also called as simple Mastoidectomy or cortical Mastoidectomy Re: Textbook of Ear, Nose and Throat, Dhingra, 6th Edition